Superior boundary of calot's triangle is formed by:
1. Hepatic duct
2. Superior surface of liver
3. Inferior surface of liver
4. Cystic duct

Correct answer: 3. Inferior surface of liver

Explanation: Ans. C Inferior surface of liverRef: Gray's Anatomy, 39th ed. pg. 1229 The Calot's Triangle Aka Hepatobiliary Triangle or Cystohepatic Triangle.* Boundaries (Cystic duct, Liver, Common hepatic duct):# Medial: Common hepatic duct# Infero-lateral: Cystic duct# Superior: Inferior surface of liver* Content of Calot triangle -Cystic artery.